Glycine is present in
1. Hemoglobin
2. Gulatathione
3. Purine
4. All

Correct answer: 4. All

Explanation: ref pg no.284, table22.1, textbook of biochemistry for medical students. Seventh edition . for optn A Ref pg no.199,textbook of biochemistry for medical students, seventh edition.for optn B .glutathione is gamma glutamyl cystenyl glycine. Ref pg no.563,fig43.10,textbook of biochemistry for medical students, seventh edition. for optn C.